Respirable dust for pneumoconiosis
1. 0.1–5 m
2. 5–10 m
3. 10–15 m
4. 15–20 m

Correct answer: 1. 0.1–5 m